Least observed laboratory finding in Neonatal Sepsis –
1. ↑C–reactive protein
2. Neutrophilia
3. Increased ESR
4. Increased Immature Neutrophils

Correct answer: 2. Neutrophilia

Explanation: Laboratory finding in Neonatal Sepsis: